Which of the following is not a part of child pugh score
1. Albumin levels
2. Bleeding time
3. Ascites
4. Bilirubin

Correct answer: 2. Bleeding time